Enzyme deficiency in McArdle syndrome
1. Muscle phosphorylase
2. Liver phosphorylase
3. Liver debranching enzyme
4. Glycogen synthase

Correct answer: 1. Muscle phosphorylase

Explanation: Glycogen storage disorderTypeNameEnzyme DeficiencyClinical FeaturesType VMyophosphorylase deficiency,McArdle syndromeMuscle phosphorylasePoor exercise tolerance; muscle glycogen abnormally high(2.5%-4%); blood lactate very low after exerciseRef: Harper's Biochemistry; 30th edition; Table 18-2; Chapter 18; Metabolism of Glycogen